H1 antagonist has all the functions except :
1. Antipruritic
2. Sedation
3. Decrease gastric acid secretion
4. Antivertigo

Correct answer: 3. Decrease gastric acid secretion